Longest acting among muscle relaxant is
1. Doxacurium
2. Rocuronium
3. Vecuronium
4. Atracurium

Correct answer: 1. Doxacurium

Explanation: Among the given options, only doxacurium is long acting(Refer: stoelting's pharmacology and physiology in anaesthetic practice ,5th edition ,pg no.139)